Niemann - Pick disease is due to deficiency of which of the following enzymes?
1. Acid Sphingomyelinase
2. Hexosaminidase A
3. Ceramidase
4. Arylsulfatase B

Correct answer: 1. Acid Sphingomyelinase

Explanation: Deficient enzyme Disease Acid Sphingomyelinase Niemann pick disease Hexosaminidase A Tay-sachs disease Ceramidase Farber disease Arylsulfatase B Maroteaux - Lamy syndrome